Rule of Hasse is used to determine :
1. The age of fetus
2. Height of an adult
3. Race of a person
4. Identification

Correct answer: 1. The age of fetus

Explanation: Ans. is a i.e. The age of fetus Hasse's rule is employed in calculating the age of fetus by its length During the first five months of pregnancy, the length in cms is square of the age in months i.e. Length in cms = (Age in months)? Age in months = Qlength in cms During second five months of pregnancy, length in cms divided by 5 is the age in months. Length in ems Age in months 5